All are true about lidocaine except
1. It acts on sodium channels in both active and inactive state
2. It is most cardiotoxic local anesthetic
3. It is given IV in cardiac arrhythmias
4. Extensive first pass metabolism

Correct answer: 2. It is most cardiotoxic local anesthetic

Explanation: Ans. b. It is most cardiotoxic local anesthetic